In oxidative phosphorylation, the ATP production and respiratory chain are linked by :
1. Chemical methods
2. Physical methods
3. Chemiosmotic methods
4. Conformational changes

Correct answer: 3. Chemiosmotic methods

Explanation: C i.e. Chemiosmotic methods